Corbohydrate reserve of human body
1. 350 gm
2. 600 gm
3. 950 gm
4. 1500 gm

Correct answer: 1. 350 gm

Explanation: Ans. is 'a' i.e., 350 gmCarbohydrate store of body is approximately 350 grams (70 grams hepatic glycogen and 280 grams muscle glycogen).